Which of the following substances in human milk is protective against Giardiasis?
1. Lactoferrin
2. peroxidase
3. Bile salt stimulated lipase
4. PABA

Correct answer: 3. Bile salt stimulated lipase

Explanation: Lactoferrin is bacteriostatic against E.coli. Peroxidases and lipases kill bacteria. Bile salt stimulated lipases kill amoeba and Giardia. PABA is important in protection against malaria. Ref: Nutrition and Child Development, K.E. Elizabeth, 4th edition pg: 15